Polycystic ovaries are associated with :
1. Hypopituitarism
2. Ovarian malignancy
3. Endometrial carcinoma
4. Adrenal cortical hyperplasia

Correct answer: 3. Endometrial carcinoma

Explanation: Endometrial carcinoma